Vitamin which is excreted in urine is :
1. Vitamin A
2. Vitamin C
3. Vitamin D
4. Vitamin K

Correct answer: 2. Vitamin C

Explanation: B i.e. Vitamin CVitamin C is a water soluble vitamin, which is mainly excreted in urineQ. Its intake above 100 mg/day results in saturation of its metabolic capacity and excretion into urine. So large doses (1 gm TDS/81p) are used to acidify urine in preventing and treating UTI as some drugs act better in acidic urine.Vitamin A, D, E, K are fat soluble and so excreted mainly in bile and very minimally in urine.